False regarding lateral geniculate body
1. Part of thalamus
2. M Cells are responsible for Depth
3. P Cells are responsible for movement
4. None of the above

Correct answer: 3. P Cells are responsible for movement

Explanation: P cells are responsible fo color, texture, contrast.